Paneth cells cotain
1. Zinc
2. Copper
3. Molybdenum
4. Selenium

Correct answer: 1. Zinc

Explanation: Refer Robbins page no Pg 804 Paneth cell contains zinc along with lysozyme.they ate involved in gut defence